International Red Cross was founded by:
1. Henry Dunant
2. John D Rockfeller
3. Marie Curie
4. None of the above

Correct answer: 1. Henry Dunant

Explanation: The Red Cross is a non-political international humanitarian organisation founded by Swiss businessman Henry Dunant. Ref: Park 21st edition page: 858.